Salt pepper appearance is seen in intraorat periapical radiograph of:
1. Thalassemia
2. Sjogren's syndrome
3. Periodontal abscess
4. Osteoporosis

Correct answer: 1. Thalassemia